Functional bracing is now the gold standard in the nonoperative management of which fractures?
1. Fracture shaft humerus
2. Fracture of both bones of the forearm
3. Fracture shaft tibia
4. Fracture shaft Femur

Correct answer: 1. Fracture shaft humerus

Explanation: FUNCTIONAL BRACINGprinciple-it relies on the hydrostatic splintage of the fracture due to contraction of muscles in a tight compartment it has now become the gold standard of conservative management of humerus fractures(Refer: Mohindra's Fundamentals of Orthopedics, 2nd edition, pg no. 81)